Which of the following is an alpha-blocker without any effect on blood pressure
1. Terazosin
2. Tamsulosin
3. Prazosin
4. Doxazosin

Correct answer: 2. Tamsulosin

Explanation: Ref: HL Sharma 3rd ed: Pg no:187 Tamsulosin is used to treat BPH specifically It acts only on receptors present on bladder and prostrate gland